MC cause of discharge from the nose is
1. CSF rhinorrhea
2. Lupus erythematosus
3. Trauma
4. Allergic rhinitis

Correct answer: 4. Allergic rhinitis

Explanation: Causes Common causes The most common causes of nasal congestion and discharge are the following: Viral upper respiratory infections (colds) Allergic reactions Less common causes Less common causes include Sinus infection (sinusitis) Foreign object (body) in the nose Overuse of decongestant sprays Vasomotor rhinitis